Initial investigation done for Suspected Gallbladder stones
1. USG
2. FRCP
3. MRCP
4. CT scan

Correct answer: 1. USG

Explanation: Ans. (a) USGRef: Bailey and Love 27th edition Page 1191* For Biliary Pathology Initial Imaging Modality of Choice is USG as it is easily available and inexpensive and Quick to perform, However it is operator dependent.